During ear examination, cough occurs due to stimulation of -
1. Vagus
2. Trigeminal
3. Hypoglossal
4. Trochlear

Correct answer: 1. Vagus

Explanation: Ans. is 'a' i.e., Vagus "Irritation of the auricular branch of the vagus in the external ear may reflexly cause cough, vomitting.or even death due to sudden cardiac inhibition. " - BDCo Auricular branch of the vagus nerve is also known as Alderman's nerve.